Commonest type of nephrotic syndrome seen in children -
1. Focal
2. Diffuse
3. Minimal change
4. Proliferative

Correct answer: 3. Minimal change